Reagenic hypersensitivity is mediated by:
1. IgA
2. IgE
3. IgD
4. IgM

Correct answer: 2. IgE

Explanation: IgE